Arterial branches which supply the head and neck of the femur is/are:
1. Medial circumflex artery
2. Lateral circumflex artery
3. Profunda femoris artery
4. All

Correct answer: 4. All

Explanation: A. i.e. Medial circumflex a.; B. i.e. Lateral circumflex a.; C. i.e. Profunda femoris aProximal femur (head & neck) is supplied by artery of ligamentum teres (branch of obturator artery), medial (main) & lateral circumflex femoral arteryQ (both arise from profunda femoris artery, give rise to ascending cervical (+ metaphyseal) and retinacular (+ epiphyseal:lateral & inferior) arteries and form extracapsular & intracapsularsubsynovial arterial rings)